The proapoptotic marker is -
1. BCL-X
2. BAX
3. BCL-2
4. Mcl-1

Correct answer: 2. BAX

Explanation: Ans. is 'b' i.e., BAX Genes/proteins regulating apoptosisProapoptoticAntiapoptotico Apaf-1 (apoptosis activating factor-1)o BCL-2o Cytochrome Co BCL-Xo Bako Mcl-1o Baxo IAPso Bimo FLIPo AIF (apoptosis inducing factor) o P53 gene o Caspases o TNFRI o FAS (CD95) o FADD (Fas associated death domain) o BH3 only proteins (Bim, Bid, Bad) o Smac/DIABLO